The Sodium content of ReSoMal (rehydration solution for malnourished children) is
1. 90 mmol/L
2. 60 mmol/L
3. 45 mmol/L
4. 30 mmol/L

Correct answer: 3. 45 mmol/L

Explanation: The sodium content in ResOMal is 45 mmol/l. Therapeutic action - Oral rehydration salts with high potassium and low sodium contents Indications - Prevention and treatment of dehydration, in patients suffering from complicated acute malnutrition only Forms and strengths - Sachet containing 84 g of powder, to be diluted in 2 litres of clean, boiled and cooled water. Dosage and duration - Prevention of dehydration Child under 2 years: 50 to 100 ml after each loose stool as long as diarrhoea persists Child over 2 years: 100 to 200 ml after each loose stool as long as diarrhoea persists Adult: 200 to 400 ml after each loose stool as long as diarrhoea persists - Treatment of dehydration Child and adult: 5 ml/kg every 30 minutes over the first 2 hours, then 5 to 10 ml/kg/hour for the next 4 to 10 hours, until dehydration is corrected. Contra-indications, adverse effects, precautions - Do not administer to patients with cholera or uncomplicated acute malnutrition: use standard ORS instead. - May cause: heart failure when administered too rapidly. During treatment, closely monitor the rate of administration in order to avoid overhydration. Increase in respiratory and pulse rates and appearance or increase of oedema are signs of over rapid rehydration. In this event, stop ReSoMal for one hour then reassess the patient's condition. Reference: GHAI Essential pediatrics, 8th edition